Female presents with history of color change from pallor to cyanosis on exposure to cold in fingers. This condition is mostly associated with?
1. Scleroderma
2. Leukemia
3. Lung infections
4. Hepatosplenomegaly

Correct answer: 1. Scleroderma

Explanation: A. i.e. Scleroderma Raynaud's phenomenon (i.e. cold/vibration/emotional stress-exposure Vt pallor --> cynosis & finally erythemaQ of digits, ear & tip of nose) is almost always present (along with skin sclerosis) and is often earliest featureQ of Systemic sclerosis (Scleroderm). It may precede extensive skin & internal organ involvement by week-months (in diffuse SS) to years (in limited cutaneous SS).